Which of the following is a part of Mobius syndrome EXCEPT:
1. Decreased chest movements
2. Bilateral facial involvement
3. Unilateral or bilateral Abducent nerve involvement
4. Ataxia

Correct answer: 4. Ataxia

Explanation: ANSWER: (D) AtaxiaREF: Merrit's neurology 12th ed p, 674Mobieus syndrome:Underdevelopment of the VI and VII cranial nerves: The VI cranial nerve controls lateral eye movement, and the VII cranial nerve controls facial expression. People with Mobius syndrome are bom with facial paralysis and the inability to move their eyes laterally. Often, the upper lip is retracted due to muscle shrinkage.Occasionally, the cranial nerves V and VIII are affected.If cranial VIII is affected, the person experiences hearing loss.Infants with this disorder can be identified at birth by a "mask-like" lack of expression that is detectable during crying or laughing and by an inability to suck while nursing because of paresis (palsy) of the sixth and seventh cranial nerves. Also, because a person with Mobius syndrome cannot follow objects by moving their eyes from side to side, they turn their head instead. Limb abnormalities--dubbed feet, missing fingers or toesChest-wall abnormalities (Poland Syndrome)Crossed eyes (strabismus)Difficulty in breathing and/or in swallowingComeal erosion resulting from difficulty in blinkingThough the syndrome has been assodated with autism the children are not mentally retarded